Which malignancy would occur in long-standing multinodular goitre?
1. Papillary Carcinoma
2. Follicular Carcinoma
3. Anaplastic Carcinoma
4. Medullary Carcinoma

Correct answer: 2. Follicular Carcinoma

Explanation: The incidence of follicular carcinoma is high in endemic goitrous areas, with long-standing multinodular goitre, possibly owing to persistent TSH stimulation.Dominant or rapidly growing nodules, especially in longstanding goitres, should always be subjected to aspiration cytology.